In depressions, there is deficiency of -
1. 5-HT
2. Acetylcholine
3. Dopamine
4. GABA

Correct answer: 1. 5-HT

Explanation: Ans. is 'a' i.e., 5 - HT Neurotransmitters in mood disorderso Most accepted biochemical hypothesis for mood disorders is the monoamine hypothesis, according to which serotinin and norepinephrine are the major neurotransmitters involved in mood disorders : -Depression - Decrease in serotonin and norepinephrine. Serotonin is the most important neurotransmitter in depression.Mania - Increased level of norepinephrineo Patients suffering from severe depression with suicidal intent/attempt appear to have a marked decrease inserotinin.o Acetylcholine and GABA are the other neurotransmitters which are involved in mood disorders.